Which of the following would be least likely to cause an ulcer in distal esophagus?
1. HSV
2. Achalasia cardia
3. Severe reflux esophagilis
4. Zenkers diverticulum

Correct answer: 4. Zenkers diverticulum

Explanation: Zenkers diverticulum occurs at the junction of thyro and cricopharyngeus i.e above the esophagus it doesn't cause ulcer in distal esophagus.